Osler's nodes are seen at :
1. Heart
2. Knee joint
3. Tip of Palm & Sole
4. Anterior abdominal wall

Correct answer: 3. Tip of Palm & Sole

Explanation: Answer is C (Tip of palms and soles) Osler's nodes are painful tender nodules in the pulp of fingers and soles, seen in patient of infective endocarditis. Lesions seen in infective endocarditis that merit attention are : Osler's nodes : Painful tender pea size erythematous nodules in the pulp offinger and sole. - Occur in crops and Indicate either an immunological phenomenon or emboli to distal digital arteries. Janeway lesionsdeg : - Small maculopapular erythematous or hemorrhagic nontenderQ lesions. Commonly seen in palms and soles Roth's lesionsdeg : - Oval, retinal haemorrhages with a clear pale centre. Splinter hemorrhagesdeg : - Linear subungual dark red streaks Commonly seen in fingers; less commonly in toes